Which of the following is not a clinical sign of atropine intoxication?
1. Flushing of the face
2. Dry skin
3. Increased bowel sounds
4. None of the above

Correct answer: 3. Increased bowel sounds

Explanation: Atropine is an anticholinergic drug. It will decrease GI motility.
PHARMACOLOGICAL ACTIONS of Atropine:
Atropine  blocks  all  subtypes  of  muscarinic receptors.
Tone and amplitude of contractions of stomach and intestine are reduced; the passage of chyme is slowed-constipation may occur, spasm may be relieved.  However,  peristalsis is only incompletely suppressed, because it is primarily regulated by local reflexes in the enteric plexus, and other neurotransmitters (5-HT,  enkephalin, etc.,) are involved.
Enhanced motility due to injected cholinergic drugs is more completely antagonised than that due to vagal stimulation, because intramural neurons which are activated by vagus utilize a number of noncholinergic transmitters as well.
Reference: Essentials of Medical Pharmacology Eighth Edition KD  TRIPATHI  page no 125,126